Rate limiting enzyme in the synthesis of cholesterol is-
1. HMG CoA reductase
2. HMG CoA synthetase
3. Acetyl CoA synthetase
4. Acetyl CoA carboxylase

Correct answer: 1. HMG CoA reductase

Explanation: Ans. is 'a' i.e., HMG CoA reductase Cycle / PathwayRate limiting enzymeGlycolysisPhosphofructokinase IGlycogen synthesis (glycogenesis)Glycogen synthaseGlycogenolysisGlycogen phosphorylaseTCA cycleIsocitrate dehydrogenaseFatty acid synthesisAcetyl CoA carboxylaseCholesterol synthesisHMG CoA reductaseKetone body synthesisHMG CoA synthetaseBile acid synthesis7-a-hydroxylaseCatecholamine synthesisTyrosine hydroxylaseUrea synthesisCarbamoyl transferaseNote: Only one important rate limiting enzyme has been mentioned here. Some cycle/ pathways may have more than one rate limiting enzymes, e.g., TCA cycle and glycolysis have three rate limiting enzymes (will be discussed in respective chapter).